Frey's syndrome include
1. Crocodile tears
2. Merciful anosmia
3. Gustatory sweating
4. None of the above

Correct answer: 3. Gustatory sweating

Explanation: Frey's syndrome is characterized by flushing and sweating over face during mastication. Ref: Dhingra 6th edition pg. 98